There is no interruption in the axons but disruption of the myelin sheath is called:
1. Neuropraxia
2. Axonotmesis
3. Neurotmesis
4. Transient ischaemia

Correct answer: 1. Neuropraxia

Explanation: (Neuropraxia) (51-M) (230-Apley's 8th)NEUROPRAXIA - It is due to mechanical pressure causing segmental demyelination and is seen typically in "crutch palsy" pressure paralysis in states of drunkenness (Saturday night palsy) and the milder types of tourniquet palsy.* Reversible physiological nerve conduction block in which there is loss of some types of sensation and muscle power followed by spontaneous recovery after a few days or weeks.Type of injuryPathologyDegenerationTinel's sign* Neurapraxia- Physiologically interruption anatomically normalNilAbsent* Axonotmesis- Axons broken nerve intactProximally + distallyAdvancing* Neurotmesis- Axons as well as nerve brokenProximally + distallyStatic